"Heart failure cells" are seen in:
1. Heart
2. Lungs
3. Liver
4. Kidney

Correct answer: 2. Lungs